Risk factor for breech presentation is
1. Maternal diabetes
2. Oligohydramnios
3. Anterior placental implantation
4. Preeclampsia

Correct answer: 2. Oligohydramnios

Explanation: Risk factors for breech presentation

Oligohydramnios 
Fundal placental implantation 
Placenta previa 
Hydrocephaly
Twin gestation
Anencephaly
Prior breech delivery